Which Branched-chain amino acid is purely ketogenic-
1. Lysine
2. Leucine
3. Isoleucine
4. Valine

Correct answer: 2. Leucine

Explanation: Ans. is 'b' i.e., Leucine o Branched-chain amino acids are leucine, Isoleucine, and Valine. Leucine is purely ketogenic. Isoleucine is both ketogenic and glucogenic. Valine is glucogenic.